Group approach includes
1. Lectures
2. Home visits
3. Folk methods
4. Television

Correct answer: 1. Lectures

Explanation: Home visits, Personal letters, personal contact are individual approachTelevision, radio, newspaper, folk methods, internet are mass approaches.Lectures, Demonstrations, Discussion methods (Symposium, conferences, roleplay..etc) are group methods.Park 23e pg: 862